In a village of 1 lakh population, among 2,000 exposed to smoking, 20 developed lung cancer and among 8,000 unexposed people, 8 developed lung cancer. What is attributable risk -
1. 10%
2. 50%
3. 90%
4. 100%

Correct answer: 3. 90%

Explanation: Ans. is 'c' i.e., 90%